Low molecular weight heparin inhibits ?
1. Factor Xa
2. Factor Xa and IIa
3. Factor IIa
4. Factors II, VII, IX and X

Correct answer: 1. Factor Xa

Explanation: Ans. is 'a' i.e., Factor Xa o Low molecular (fractionated) heparins inhibits -4 Factor Xa o Unfractionated inhibits --) Factor Ha & Xa